Following all are antigens for antiphospholipid antibody except ?
1. Prothrombin
2. Erythrocyte membrane
3. Phospholipid
4. Beta 2 glycoprotein

Correct answer: 2. Erythrocyte membrane

Explanation: Ans. is 'b' i.e., Erythrocyte membraneAntiphospholipid syndromeAntiphospholipid syndrome develops in patients expressing antibodies to anionic phospholip. i.e., antiphospholipid antibody or lupus anticoagulant.These antibodies not only act against phospholipid, as it was believed, but also against epitopes of plasma proteins.A variety of protein have been implicated; 2-glycoprotein particularly important, i.e., antiphospholipid antibody is directed against the phospholipid - 2-glycoprotein complex.Other proteins are prothrombin, protein S, protein C, annexin V.Three antibody are particularly important :Antiphospholipid (anti Cardiolipin)Anti-2-glycoprotein (i.e., against 2-glycoprotein component of phosphilipid-2-glycoprotein complex).A nti-prothrombin